Expiry medicines should be disposed in:
1. Blue bag
2. Black bag
3. Yellow bag
4. Red Bag

Correct answer: 3. Yellow bag

Explanation: Yellow: